Which of the following is not a risk factor for cholangiocarcinoma
1. Thorotrast
2. Radon
3. Dioxin
4. Aflatoxin

Correct answer: 4. Aflatoxin

Explanation: Risk factors for cholangiocarcinoma Choledochal cyst Primary sclerosing cholangitis Ulcerative colitis. RPC or hepatolithiasis. Biliary enteric anastomosis HBV, HIV, HCV Choledocholithiasis Clonorchis sinensis and opisthorchis viverrini Cirrhosis Radon Asbestos, Nitrosamines, Dioxib(AND). Diabetes, Obesity, OCP's, smoking, Thorotrast, Isoniazid(DOSTI) Ref: Sabiston 20th edition Pgno :1514